The most common site of rupture of Abdominal Aortic-Aneurysm is
1. Laterally into the Left Retroperitoneum
2. Laterally into the Right Retroperitoneum
3. Posteriorly into the Posterior Retroperitoneum
4. Anteriorly into the Peritoneum (Intraperitonial)

Correct answer: 1. Laterally into the Left Retroperitoneum